Immunity by vaccine is-
1. Active natural
2. Passive natural
3. Active acquired
4. Passive acquired

Correct answer: 3. Active acquired

Explanation: .vaccine is an immunobiological substance designed to produce specific protection against a given disease.it stimulates the production of protctive antibody and other immune mechanisms.it can be prepared from live modified organisms,inactivated or killed organisms,extracted cellular fractions,toxoids,or combination of these.hence vaccines induces active acquired immunity. ref:park's textbook,22 nd ed,pg 99